The triad of cirrhosis, hemochromatosis and diabetes are referred to as
1. Silver diabetes
2. Diabetes mellitus
3. Diabetes insipidus
4. Bronze diabetes

Correct answer: 4. Bronze diabetes